All are component of saint's triad Except:
1. RenalStones
2. Hiatus hernia
3. Diverticulosis coli
4. Gall stones

Correct answer: 1. RenalStones

Explanation: Ans. is 'a' ie Renal stones Saints triad includesGall StoneDiverticulosis of the colonHiatus herniaSome other important triads commonly asked :Charcot's triad* - Jaundice, Pain & Fever(Seen in cholangitis)Virchow's triad* - Changes in blood flow, Changes in vessel wall, Hypercoagulability(Etiology of venous thrombosis)Hutchison's triad* - Hutchison's teeth (notched upper incisors) Interstitial keratitis, Nerve deafness.(In congenital syphilis)Triad of Alport syndrome* - Progressive renal failure, Sensory neural deafness Ocular anomalies.Triad of Kwashiorkor* - Oedema, Growth retardation Mental changes(apathy, listlessness lethargy)Triad of Behcet's syndrome* - Recurrent oral ulcers Genital ulcers, Iridocyclitis (+ Skin lesions make a tetrad)Whipple's triad* - Symptoms of Hypoglycemia, (Seen in Insulinoma) Serum glucose <45 mg/dl, Relief with infection of glucose.Triad of Hypernephroma - Hematuria, Pain, Renal massTrotters triad* - * Conductive deafness, Immobility of homolateral soft (in Nasopharyngeal ca*) palate, Trigeminal neuralgiaGradenigo's triad* - VI C.N. palsy, deep seated retro orbital pain, Persistent ear discharge.(In petrositis)*